6 months old infant with Hb of 6 gm% has anaemic features with peripheral blood showing target cells. Family history of similar complaints is (Positive). Diagnosis can be best done with which of the following:
1. Hb electrophoresis
2. ELISA
3. Coomb's Test
4. Osmotic fragility

Correct answer: 1. Hb electrophoresis

Explanation: Ans. is 'a' i.e. Hb Electrophoresis (Ref. Harrison, 16/e, 595 (15/e, p. 681), Nelson 17/e, p 1630-1632).Presence of:Anaemia (Hb < 6%)Target cellsIncrease reticulocytes suggests the diagnosis of thalassemia.Thalassemia is a hemoglobin disorder Hemoglobin disorders are diagnosed by electrophoresis.Diagnosis of thalassemia is confirmed by serum electrophoresis.The finding is- Increase Hb A2*Increase Hb F*Other conditions in which Target cells are seenLiver disease*Hemoglobin C and S disease*